Systemic infection is caused by all fungi except -
1. Cryptococcus
2. Histoplasma
3. Dermatophytes
4. Paracoccidioides

Correct answer: 3. Dermatophytes

Explanation: Ans. is 'c' i.e., Dermatophytes Fungus infectionso Human fungus infections are broadly of two types :SuperficialDeep seated (systemic)o A third type of fungal infection is opportunistic infection, caused mainly by fungi that are normally avirulent.MucorPenicilliumAspergillus